A patient with increased BP and decreased heart rate is likely to have all except
1. Increased ICT
2. Deep sea diving
3. Head trauma
4. Brain tumor

Correct answer: 2. Deep sea diving